Zygote reaches the uterine cavity as :
1. 32 celled
2. 16 celled
3. 8 celled
4. 2 celled

Correct answer: 2. 16 celled

Explanation: Ans. is b i.e. 16 celled